JSB stain is used for which parasite -
1. Malaria
2. Filaria
3. Kala azar
4. Sleeping sickness

Correct answer: 1. Malaria

Explanation: The thin film is fixed in methanol for 30 seconds. The thick film is not to be fixed as it is to be dehaemoglobinised. Diluted Giemsa stain is applied over both thick and thin films and allowed to stand for half to two hours. The slide is then washed and dried. A rapid method of staining, particularly useful in field work is the Field's stain. The rapid method commonly employed in India is the JSB stain named after Jaswant Singh and Bhattacharji. TEXTBOOK OF MEDICAL PARASITOLOGY,CKJ PANIKER,6TH EDITION,PAGE NO 89